All of the following are the contents of second layer of sole except:-
1. Flexor hallucis longus
2. Flexor digitorum longus
3. Flexor digitorum accessorius
4. Flexor hallucis brevis

Correct answer: 4. Flexor hallucis brevis

Explanation: Second layer of sole consist of two extrinsic tendons flexor hallucis longus & flexor digitorum longus and two intrinsic muscles flexor digitorum accessorius & four lumbricals. Flexor hallucis brevis is the muscle of third layer.